Tissue bridges are seen in:
1. Abrasion
2. Contusion
3. Laceration
4. Stab wound

Correct answer: 3. Laceration

Explanation: Ans., Laceration